A 30-year-old man is stabbed in the arm. There is no evidence of vascular injury, but he cannot flex his three radial digits. He has injured the
1. Flexor pollicis longus and flexor digitus medius tendons
2. Radial nerve
3. Median nerve
4. Thenar and digital nerves at the wrist

Correct answer: 3. Median nerve

Explanation: The motor components of the median nerve maintain the muscular function of most of the long flexors of the hand as well as the pronators of the forearm and the thenar muscles. The median nerve is also an extremely important sensory innervator of the hand and is commonly described as the "eye of the hand" because the palm, the thumb, and the index and middle fingers all receive their sensation via the median nerve.